In which one of the following perineural invasion in head and neck cancer is most commonly seen?
1. Adenocarcinoma
2. Adenoid cystic carcinoma
3. Basal cell adenoma
4. Squamous cell carcinoma

Correct answer: 2. Adenoid cystic carcinoma